Digoxin is used for treatment of congestive heart failure. It acts by inhibiting:-
1. Na+ K+ ATPase
2. H+ K+ ATPase
3. Na+ H+ ATPase
4. Na+ K+ 2 Cl- cotransporter

Correct answer: 1. Na+ K+ ATPase

Explanation: Digoxin acts by inhibiting Na+K+ATPase of myocardial fibres by binding to its extracellular face- Accumulation of sodium in the cardiac cell- increased intracellular calcium. This Ca2+ is shifted to sarcoplasmic reticulum with the help of SERCA for storage. Thus, during systole, entry of calcium from membrane Ca2+ channels triggers release of high amount of Ca2+ from the sarcoplasmic reticulum and result in increased contractility.